Snow storm appearance of USG is seen in:
1. Dysgerminoma
2. Carcinoma cervix
3. Carcinoma endometrium
4. H. mole

Correct answer: 4. H. mole

Explanation: Ans. D i.e. H. mole